Submandibular gland is:
1. Pure serous.
2. Pure mucous.
3. Mixed and predominantly serous.
4. Mixed and predominantly mucous.

Correct answer: 3. Mixed and predominantly serous.